Manubriosternal joint is -
1. Primary cartilaginous
2. Secondary caritilaginous
3. Synovial
4. Ellipsoid

Correct answer: 2. Secondary caritilaginous

Explanation: Ans. is 'b' i.e., Secondary cartilaginous o Costochondral (stemochondral) joints are primary cartilaginous joints.Cartilaginous joints1) Primary cartilaginous joints (synchondrosis, or hyaline cartilage joint) : These are :-Joint between epiphysis and diaphysis of a growing long bone, i.e. physis.Spheno-occipital joint1st costostemal joint (1st chondrosternal joint)Costochondral joints2) Secondary cartilaginous joints (Symphyses or fibrocartilaginous joints) : These are :-i) Symphysis pubis(iii) manubriostemal joint(v) Symphysis mentiii) Sacroccygeal joint(iv) intervertebral disc